Referred otalgia can be due to?
1. Carcinoma larynx
2. Carcinoma oral cavity
3. Carcinoma tongue
4. All of the above

Correct answer: 4. All of the above

Explanation: ANSWER: (D) All of the aboveREF: Dhingra 4th ed p. 124Causes of referred otalgiaEar receives nerve supply from Vth (auriculotemporal), IXth (tympanic br.) and Xth (auricular br.) cranial nerves; and from C2 (lesser occipital) and C2 and C3 (greater auricular), pain may be referred from these remote areasVia Vth cranial nerveDental; Caries tooth, apical abscess, impacted molar, malocclusion.Oral cavity; Benign or malignant ulcerative lesions of oral cavity or tongue.Temporomandibular joint disorders; Bruxism, osteoarthritis, recurrent dislocation, ill- fitting denture.Sphenopalatine neuralgia.Via IXth cranial nerveOropharynx; Acute tonsillitis, peritonsillar abscess, tonsillectomy. Benign or malignant ulcers of soft palate, tonsil and its pillars.Base of tongue; Tuberculosis or malignancy.Elongated styloid process.Via Xth cranial nerve. Malignancy or ulcerative lesion of: vallecula, epiglottis, larynx or laryngopharynx, esophagus.Via C2 and C3 spinal nerves. Cervical spondylitis, injuries of cervical spine, caries spine.